Cholinergic drugs are used in all the following conditions except
1. Cobra Bite
2. Post operative paralytic ileus
3. Glaucoma
4. Bradycardia

Correct answer: 4. Bradycardia

Explanation: Cholinergic drugs produce bradycardia by acting on M2 receptors on heart Ref: KDT 7th ed pg 101